Bullet wipe term is used for:
1. Gutter fracture of skull
2. Blackening
3. Tattooing
4. Di from barrel

Correct answer: 4. Di from barrel

Explanation: Grease Collar (Bullet Wipe) :* A black/grey colored ring is seen lining the entrance wound.* Due to the deposition of lubricants, gun oil or lead from the bullet. * Abrasion collar surrounds the di collar.* Di collar rim is more prominent in clothing - 'bullet wipe'.* Abrasion and di collars are proof of an entry wound.